Motorcyclist fracture among the following is
1. Ring fracture
2. Sutural separation
3. Comminuted fracture of vault of skull.
4. Fracture base of skull into anterior & posterior halves.

Correct answer: 4. Fracture base of skull into anterior & posterior halves.

Explanation: Ans. is 'd' i.e. Fracture base of skull into anterior & posterior halves The fracture of base of skull dividing it into two halves (anterior & posterior), each moving independently of each other like a hinge is specifically called as motor cyclist fracture.The fracture line runs across through the pituitary fossa and along the petrous temporal bones.It's a fatal injury & occurs in many types of road accidents or due to a very heavy impact on one side of the head.